Which of the following is the only intrinsic muscle of larynx that lies outside the laryngeal framework-
1. Cricothyroid
2. Superior constrictor
3. Cricopharyngeus
4. Lateral cricothyroid

Correct answer: 1. Cricothyroid

Explanation: Cricothyroid is the only intrinsic muscle which lies outside the cartilagenous framework.